A 45 years old man is admitted in ICU with a chief complaint of breathlessness, fever and dry cough for 3 days. Patient recently travelled to China. Nasal and throat swab were taken and results are awaited. Meanwhile patient undergone a chest CT. Which of the following CT Chest findings is most likely to be seen in this patient?
1. Glass ground opacification
2. Consolidation
3. Traction bronchiectasis
4. Sub-pleural bands

Correct answer: 1. Glass ground opacification

Explanation: Given the clinical history and recent travelling history, most likely diagnosis is COVID-19 infection. CT chest findings are: -The primary findings on CT in adults have been reported as: ground glass opacities (GGO): bilateral, subpleural, peripheral crazy paving appearance (GGOs and inter-/intra-lobular septal thickening) air space consolidation bronchovascular thickening traction bronchiectasis -The ground-glass and/or consolidative opacities are usually bilateral, peripheral, and basal in distribution.